Test done for Mycobacterium tuberculosis based on CMI is
1. IGRA
2. BACTEC
3. Culture
4. GenXpert

Correct answer: 1. IGRA

Explanation: Ref. Textbook of Microbiology and Immunology BY Parija. Page. 350
 
IGRA
IGRAs measure a person’s immune reactivity to M. tuberculosis. White blood cells from most persons that have been infected with M. tuberculosis will release interferon-gamma (IFN-g) when mixed with antigens (substances that can produce an immune response) derived from M. tuberculosis.
Types of IGRA

QuantiFERON TB Gold In-Tube test (QFT-GIT);
T-SPOT.TB test (T-Spot)